True regarding cortical blindness
1. Direct and consensual reflexes are present in both the eyes
2. Direct and consensual reflexes absent in both the eyes
3. Direct reflex is present and consensual absent on the normal side
4. Direct reflex is absent on normal side and consensual reflex present

Correct answer: 1. Direct and consensual reflexes are present in both the eyes

Explanation: A i.e. Direct and consensual reflexes are present in both eyes Pupillary reflex (direct & consensual) are normal in lesions beyond optic tract (i.e. lesions of lateral geniculate body, optic radiation and visual cortex) as the fibers of pupillary reaction leave the optic tracts to synapse in superior colliculi. Q No descending optic atrophy occurs in lesions beyond LGB Q (i.e. lesions of optic radiation & visual cortex) as the first order neuron (optic nerve fibers) synapse in lateral geniculate body. B/L infarction of distal posterior cerebral arteries produce cortical blindness. The patient is often unaware of blindness or may even deny it. (Anton's syndrome)